"Trendelenburg sign" is positive in damage of the following nerve :
1. Inferior gluteal nerve
2. Pudendal nerve
3. Superior gluteal nerve
4. Posterior tibial nerve

Correct answer: 3. Superior gluteal nerve

Explanation: C i.e. Superior gluteal nerve In paralysis of gluteus medius & minimus (i.e. injury to superior gluteal nerve) trendelenburg sign is positive not in paralysis of gluteus maximus (i.e. inferior gluteal nerve injury)Q Trendelenburg Sign Normally when the body weight is supported on one limb, the glutei (medius & minimus) of the supported side contract & raise the opposite & unsupported side of pelvis. If the abductor mechanism is defective the unsupported side of pelvis dropps & this is known as positive trendelenburg's test. Tredelenburg's test. (A) When both feet are supporting the body weight, the pelvis (anterior superior iliac spine) on the two sides lies in the same horizontal plane. (B) When only the right foot is supporting the body weight, the unsupported side of the pelvis is normally raised by the opposite gluteal medius and minimus. (C) If the right gluteal medius and minimus are paralysed, the unsupported left side of the pelvis drops. This is a positive Tredenburg's test. When the patient walks with positive trendelenburg sign, the pelvis descends on the unsupported side, the lower limb becomes, in effect, too long and does not clear the ground when the foot is brought forward. To compensate, the individual leans away from the unsupported side (i.e. towards affected side), raising the pelvis to allow adequate room for the foot to come forward.